Most common site of origin of nasopharyngeal angiofibroma:
1. Roof of nasopharynx
2. At sphenopalatine foramen
3. Vault of skull
4. Lateral wall of nose

Correct answer: 2. At sphenopalatine foramen

Explanation: (b) At sphenopalatine foramen(Ref. Cummings, 6th ed., 1421; Scott Brown, 8th ed., Voll; 1265)Most common site of origin of nasopharyngeal angiofibroma is from the sphenopalatine foramen which is present around 1 cm behind the posterior border of the middle turbinate in the lateral wall of nasopharynx.The lateral wall of the nose ends at the posterior end of turbinates. So it is not the answerAngiofibroma spreads to the roof of nasopharynx from where it can go intracranially.Vault of skull is not valid.